The most common cause of acute cor pulmonale is
1. Pneumonia.
2. Pulmonary thromboembolism.
3. Chronic obstructive pulmonary disease.
4. Primary spontaneous pneumothorax.

Correct answer: 2. Pulmonary thromboembolism.